Drug of choice for Palliative treatment pancreatic
Carcinoma
1. Paclitaxel
2. Gemcitabine
3. Methotrexate
4. FOLFOX regime

Correct answer: 2. Gemcitabine

Explanation: Gemcitabine 1s DOC for palliative care.